'Stalacite' growth is a feature of:
1. Haemophilus
2. Yersenia
3. Corynebacterium
4. Mycoplasma

Correct answer: 2. Yersenia

Explanation: Yersenia